Which of the following does not give sensory supply to the pinna:
1. Auricotemporal Nerve
2. Great Auricular Nerve
3. Lesser Occipital Nerve
4. Tympanic branch of Glossopharyngeal Nerve

Correct answer: 4. Tympanic branch of Glossopharyngeal Nerve

Explanation: D i.e. Tympanic branch of glossopharyngeal nerveTympanic branch of glossopharyngeal (IX) nerve or Jacobson's nerve supplies the medial (inner) surface of tympanic membrane. It does not supply pinnaQ.Martin nerves supplying the skin of auricle (pinna) are great auricular nerve (c2, CP and auriculo temporal nerve (V3)(2 with a small contribution from lesser occipital nerve, (C2), auricular branch of vagus (X) nerve or Arnold's nerve and facial nerve.The great auricular supplies the whole of the cranial (medial /back) surface of auricle (C2, with a little overlap from the lesser occipital at the top) and the posterior part of lateral (front) surface (helix, anthelix, and lobule).The auriculo temporal nerve (br. of CNV3) supplies the upper part of lateral surface , skin of auricle anterior to external acoustic meatus, tragus, crus & adjacent part of helix and most of meatal skin.Auricular branch of vagus (Arnold's nerve) supplies skin on the concavity of concha & posterior part of eminentia , posterior wall & floor of meatus and adjoining tympanic membrane.